Vertebra plana occurs in
1. Eosinophilic granuloma
2. Chondrosarcoma
3. Osteosarcoma
4. Fibrosarcoma

Correct answer: 1. Eosinophilic granuloma

Explanation: (Eosinophilic granuloma) (182-83-A) (226-CDT-orthopedics 4th)Eosinophilic-granuloma and Histiocytosis - X ray shows a well demarcated oval area of radiolucency within the bone, sometimes this is associated with marked reactive sclerosis. There may be multiple lesions and in the skull they have characteristic punched out - appearance.* Vertebral collapse may result in a flat wedge (vertebra plana) which is pathognomonic and "coin-on-end" appearance* Eosinophilic granuloma usually resolves spontaneously* The use of anterior decompression and anterior fusion is the treatment of choice in patients with neurologic symptoms